"Molecular logic of living state" states all except
1. Cells maintain a rigid state
2. A basic simplicity in biological macromolecular
3. Cells maintain maximum economy
4. All of the above

Correct answer: 1. Cells maintain a rigid state

Explanation: All macromolecules are constructed from a few simple compounds. * * Carbon atoms covalently joined with other carbon atoms and with the hydrogen, oxygen, and nitrogen. * Organic compounds with relative molecular mass less than about 500, such as amino acids, nucleotides, and monosaccharides, serve as monomeric subunits of macromolecules such as proteins, nucleic acids, and polysaccharides. * A single protein may have 1000 or more amino acids, and deoxyribonucleic acids has millions of nucleotides * eg. Escherichia coli have several proteins, nucleic acids molecules, carbohydrates and lipids. * DNA (Deoxyribonucleic acid) are constructed from only four different kinds of simple monomeric subunits the deoxyribonucleotides * RNA (Ribonucleic acid) are composed of just four types of ribonucleotides * Proteins are composed of 20 different kinds of amino acids * All proteins are built identically in all living organisms * All living organisms build molecules from same kind of monomeric subunits * The structure of a macromolecule determines its specific biological function * Each genus and species is defined by its distinctive set of macromolecules